The process of hardening a cement matrix through hydration with oral fluids  to achieve greater mechanical strength is known as:
1. Maturation
2. Setting
3. Hardening
4. Mineralization

Correct answer: 1. Maturation

Explanation: Maturation (cement)—The process of hardening a cement matrix through hydration with oral fluids to achieve greater mechanical strength.
Ref: Phillip’s Science of Dental Materials ed 12 pg 309